Most frequent site of accessory breast:-
1. Axilla
2. Groin
3. Buttock
4. Thigh

Correct answer: 1. Axilla

Explanation: Most frequent site of accessory breast is axilla.